Which statement is false regarding familial adenomatous polyposis :
1. Males are usually carriers
2. Autosomal dominant inheritance
3. If not treated progress to malignancy in 100% of cases
4. Males and females are affected equally.

Correct answer: 1. Males are usually carriers

Explanation: Ans. is 'a' i.e. males are usually carriers Familiar polyposis coli is an autosomal dominant* condition affecting males and females equally.It is characterized by presence of thousands of adenomatous polyps throughout the large bowel.Carcinomatous change* supervenes in these polyps in 100% of cases by the age of 30-35yrs.Therefore prophylactic colectomy is done. *